Tell the bond (X, Y, Z) in the structure of DNA:
1. X-Hydrogen bond, Y-beta N glycosidic bond, Z-3' 5' phosphodiester bond
2. X-Hydrogen bond, Y-beta O glycosidic bond, Z-2' 5' phosphodiester bond
3. X-Hydrogen bond, Y-beta N glycosidic bond, Z-2' 3' phosphodiester bond
4. X-Hydrogen bond, Y-phosphodiester bond, Z-3' 5' beta N glycosidic bond

Correct answer: 1. X-Hydrogen bond, Y-beta N glycosidic bond, Z-3' 5' phosphodiester bond

Explanation: X is the bond between the two nitrogenous bases. This is hydrogen bond.There is double bond between A and T, triple bond between G and C. Y is the bond between nitrogenous base and sugar. This is beta-N glycosidic bond, which is a covalent bond. This bond is between C1 of sugar and N9 of purines and N1 of pyrimidines. Z is the bond between sugar and phosphate. This is 3' 5' phosphodiester bond.